Short term memory conversion to long term memory takes place in -
1. Hypothalamus
2. Thalamus
3. Hippocampus
4. Amygdala

Correct answer: 3. Hippocampus

Explanation: Ans. is 'c' i.e., Hippocampus o Medial temporal lobe is the area of brain responsible for consolidation, i.e. processing of short term memory into long term memory.o These areas are Hippocampus (most important}, parahippocampal gyrus and entorhinal cortex.o For short term memory to be converted into long-term memory that can be recalled weeks or years later, it must become "consolidatedo That is, the short-term memory if activated repeatedly will initiate chemical, physical and anatomical changes in the synapses that are responsible for the long-term type of memory,o Medial temporal lobe is the area of brain responsible for consolidationQ, i.e. processing of short term memory into long term memoryQ.o These areas are Hippocampus (most important)Q, parahippocampal gyrus and entorhinal cortex,o Therefore, damage to hippocampus leads to antegrade amnesia, i.e. patient is unable to consolidate recent events into long term memoryQ.o After consolidation long term memory is stored in neocortexQ,o Amygdala stores the components of memory concerned with emotions,o Hippocampus is not important in reflexive memory.o Encoding of reflexive memory is believed to occur in the basal ganglia and/or cerebellum.